Paget's disease of the nipple is treated by -
1. Radiotherapy
2. Radical mastectomy
3. Biopsy and simple mastectomy
4. Chemotherapy

Correct answer: 3. Biopsy and simple mastectomy